Drug of choice in methicillin-resistant Staphylococcus aureus -
1. Ceftriaxone
2. Ceftazidime
3. Ampicillin
4. Vancomycin

Correct answer: 4. Vancomycin

Explanation: Methicillin resistance in S. aureus is determined by the mecA gene, which encodes for resistance to all b-lactam drugs. If CA-MRSA infection is suspected, either linezolid or vancomycin should be added to the initial empirical regimen. (Harrison's Principles of internal medicine, 20th edition)